About lidocaine, all are true except :
1. LA effect
2. Cardiac arrhythmia
3. Ester
4. Acts on mucous membranes

Correct answer: 3. Ester

Explanation: C i.e. Ester